40 year old male with left side weakness and eye down and out. Where is the lesion.?
1. Left medial pons syndrome
2. Left medial mid brain syndrome
3. Right medial midbrain
4. Right medial pons

Correct answer: 3. Right medial midbrain

Explanation: Eye down and out - III nerve lesion - III nerve located in mid brain Left pyramid weakness - so lesion in contralateral side (right) -Medial lesion